MC cause of intermittent stridor in a 10 days old child is -
1. Laryngomalacia
2. Foreign body
3. Vocal nodule
4. Hypertrophy of turbinate

Correct answer: 1. Laryngomalacia